The "knot" in judicial hanging is placed at
1. The back of the neck
2. The side of the neck
3. Below the chin
4. Choice of hangman

Correct answer: 2. The side of the neck

Explanation: Ans. is 'b' i.e. The side of the neck Though submental knot (below the chin) is thought to be more effective and ensures a quicker death; subaural knot (side of the neck under the angle of the jaw/mandible) on the left side is the preferred position in India as well as England. Judicial hanging causes fracture-dislocation usually at the level of 2nd and 3rd or 3rd and 4th cervical vertebrae. B/l fractures of either the pedicles or laminae of the arch of the 2nd, 3rd or 4th cervical vertebrae occur.In proper judicial hanging, there is rupture of the brain stem between the pons and the medulla.This results in instantaneous and irreversible loss of consciousness (d/t destruction of reticular formation) and in irreversible apnoea (d/t destruction of the respiratory centre).Death is instantaneous due to damage to spinal cord or brain stem though the heart may continue to beat for 15 to 20 minutes and muscle jerking may occur for quite some time.